Which of the following is NOT a ventral branch of abdominal aorta
1. Gonadal artery
2. Celiac trunk
3. Superior mesenteric artery
4. Inferior mesenteric artery

Correct answer: 1. Gonadal artery

Explanation: Ventral or anterior branches of abdominal aorta are Celiac trunk Superior mesenteric artery inferior mesenteric artery Gonadal arteries supplying gonads arises laterally from abdominal aorta.